Best preservative for protozoal cysts is
1. 10 % formalin
2. Isopropyl alchol
3. HCL Solution
4. Naoh solution

Correct answer: 1. 10 % formalin

Explanation: 10 % formalin is ALL - purpose fixative used for preservation of morphology of helminth eggs, larvae, protozoan cysts and coccidian.